A patient of parkinsonism is managed with L-dopa. If Vit. B-complex is administered concurrently-
1. The action of L-dopa in brain will be potentiated
2. Decarboxylation of L-dopa in brain will be decreased
3. Side effects will be ameliorated
4. Decreased efficacy will result

Correct answer: 4. Decreased efficacy will result

Explanation: Ans. is 'd' i.e., Decreased efficacy will result "Pyridoxine abolishes the therapeutic effect of levodopa by enhancing peripheral decarboxylation of levodopa".